An outbreak of diarrhea occurred among elderly patients in an assisted care facility, which had been repeatedly cited by the public health department for poor hygiene practices. The agent that caused the infections had a star-like morphology in electron micrographs. EIA tests for several agents of viral gastroenteritis were negative. Which virus was most likely responsible for this outbreak?
1. Adenovirus 40/41
2. Astrovirus
3. HAV
4. Norovirus

Correct answer: 2. Astrovirus

Explanation: A number of viruses that cause gastroenteritis have been recognized. The table in the answer to question 160 summarizes the characteristics of these viruses. Astrovirus (b) has been demonstrated by EM in stools of young children and elderly nursing home residents during outbreaks of diarrhea. EIA tests are available to detect adenovirus 40/41 (a), Norovirus (d), and Rotavirus (e), so these cannot be the causative agents. HAV (c) does not cause gastroenteritis. See the table in the answer to question 114 for additional information.